Most common cause of viral pneumonia in infant is -
1. Rhinovirus
2. RSV
3. Reovirus
4. CMV

Correct answer: 2. RSV

Explanation: RSV can lead to tracheobronchitis,bronchiolitis and pneumonia. REF:ANANTHANARAYAN AND PANIKER'S TEXTBOOK OF MICROBIOLOGY 9TH EDITION PAGE NO:510,511